What is the Neutrophil count for moderate neutropenia?
1. < 500/mm3
2. 500-1000/mm3
3. >1000/mm3
4. 100/mm3

Correct answer: 2. 500-1000/mm3

Explanation: Neutropenia is classified as mild, moderate, or severe based on the Absolute Neutrophil Count. Mild neutropenia 1000-1500 cells/mL Moderate neutropenia 500-1000/mL Severe neutropenia <500 cells/mL The risk of bacterial infection is related to both the severity and duration of the neutropenia.